In a community, an increase in new cases denotes ?
1. Increase in incidence rate
2. Increase in prevalence rate
3. Decrease in incidence rate
4. Decrease in prevalence rate

Correct answer: 1. Increase in incidence rate

Explanation: Ans. is 'a' i.e., Increase in incidence rate Incidence o Incidence is a rate. o It is defined as "the number of new cases occurring in a defined population during a specified period of time, per 1000 population". Mean no. of persons exposed to risk in that period o If the denominator of the incidence rate is the sum of the time each person was observed, this is called a person time rate. This measure is also referred to as an incidence density rate because the denominator is the time each person is observed instead of the number of people. For example, if 100 people were followed for one year, there are 100 person years in the denominator. Number of cases during observation period Person time Rate = x 100 Time each person deserved totalled for all persons o The use of incidence is generally restricted to acute condition. o Because incidence measures the rate at which new cases are occuring in a population, it is not influenced by the duration of disease. o Uses of Incidence rate o The incidence rate, as a health status indicator, is useful for taking action :- i) To control disease ii) For research into aetiology and pathogenesis, distribution of disease, and efficacy of preventive and therapeutic measures.